In a patient taking oral contraceptive, the chance of pregnancy increases after taking any of the following drugs except -
1. Phenytoin
2. Griseofulvin
3. Ampicillin
4. Cimetidine

Correct answer: 4. Cimetidine

Explanation: Ans. is 'd' i.e., Cimetidine